Onion skin thickening of arteriolar wall is seen in?
1. Atherosclerosis
2. Median calcific sclerosis
3. Hyaline arteriosclerosis
4. Hyperplastic arteriosclerosis

Correct answer: 4. Hyperplastic arteriosclerosis

Explanation: Ans. is 'd' i.e., Hyperplastic arteriosclerosis